Child is suspected to have consumed some substance, presents with tachycardia, bronchodilation, elevated temperature and constipation. The substance ingested is most probably ?
1. Nerium Odorum
2. Mushroom
3. Atropine
4. Organophosphorus

Correct answer: 3. Atropine

Explanation: Alkaloids like atropine stimulates higher centers of the brain,Then the motor centres and finally cause depression and paralysis,especially of the vital centres in the medulla. The respiration is first stimulated,then depressed and the heart centre is stimulated. Peripheral effects are predominant and results from anticholinergic action. Hyperpyrexia is common with atropine.So in this child the substance ingested is probably Atropine. Ref: Geller R.J. (2012). Chapter 165. Atropine and Glycopyrrolate. In K.R. Olson (Ed), Poisoning & Drug Overdose, 6e.